Essential amino acid is ?
1. Alanine
2. Serine
3. Arginine
4. Proline

Correct answer: 3. Arginine

Explanation: Ans. is 'c' i.e., Arginine Nutritionally Essential Nutritionally Nonessential Arginine Alanine Histidine Asparagine Isoleucine Leucine Asparatate Lysine Cysteine Methionine Phenylalanine Glutamate Threonine Tryptophan Valine Glutamine Glycine Proline Serine Tyrosine